Etheromanias refer to ?
1. Acute psychosis post ether anaesthesia
2. Ether addiction
3. Excessive ether use drug anaesthesia
4. None

Correct answer: 2. Ether addiction

Explanation: Ans, B. Ether addictionEther addiction or etheromania is the addiction to inhalation or drinking of diethyl ether.